Action of subunit by G-protein is
1. Binding of agonist
2. Conversion of GDP to GTP
3. Breaking of GTP to GDP
4. Internalization of receptor

Correct answer: 3. Breaking of GTP to GDP

Explanation: Alpha subunit G protein contains GTPase activity and thus dissociates GTP to form GDP.thus re-uniting alpha subunit with beta and gamma submit Ref-KDT 7/e p46